What is not true about Peyronie disease?
1. Associated with fibrosis in the penis
2. Associated with dupuytren's contracture.
3. It shows a self limited course
4. Medical treatment is effective

Correct answer: 4. Medical treatment is effective

Explanation: Ans: d (Medical treatment is effective) Ref: Bailey, 24th ed, p.Medical treatment is ineffective in Peyronie disease.Peyronie's disease- Relatively common cause of deformity of erect penis.- O/E hard plaque of fibrosis can be palpated in the tunica of one or both corpora cavernosa, (occasionally calcified)- Erect penis often bend towards the side of plaque.- Disease is typically self limiting.- Aetiology is uncertain, may be a result of past trauma.- Association with Dupuytren contracture.TreatmentMedical treatment is often ineffective.Some continue to progress, others seem to remit after 3-5 yrs.Nesbitt operation -^Surgery may be indicated to correct deformity that interferes with sexual function.